A child presents with stridor, barking cough and difficulty in breathing since 2-3 days. He has a fever and elevated leukocyte count. All of the following statements about his condition are true, except
1. Subglottic stenosis and hypopharyngeal dilatation may be seen on x-rays.
2. Boys are more commonly affected than girls
3. Symptoms are predominantly caused by involvement of the subglottis
4. Antibiotics form the mainstay of treatment

Correct answer: 4. Antibiotics form the mainstay of treatment

Explanation: Once the diagnosis has been made, treatment of the exact cause can be planned. When there is secondary infection with fever and toxaemia or purulent expectoration, antibiotics are the treatment of choice. Voice rest, avoidance of smoking and alcohol, Steam inhalation, Cough sedative, Analgesics, Steroids are the other treatment modalities. Ref: Textbook of diseases of ENT, PL Dhingra, 7th edition, pg no.328